Day light factor in living rooms should be:
1. 6%
2. 8%
3. 10%
4. 12%

Correct answer: 2. 8%

Explanation: 8%